The element fluoride was described by Churchill in:
1. 1934
2. 1942
3. 1931
4. 1941

Correct answer: 3. 1931